In a patient with mitral stenosis, disappearance of Loud S1 is associated with all except
1. Calcified valve
2. Aortic regurgitation
3. Heart block
4. Mild mitral stenosis

Correct answer: 4. Mild mitral stenosis

Explanation: ANS. DConditions associated with dulling of SI (disappearance of loud SI) in patient with mitral stenosis:1. Calcified mitral valve2. Aortic regurgitation (AR)3. Mitral regurgitation (MR)Absence of presystolic accentuation in mitral stenosis:1. Atrial fibrillation2. Presence of MR3. Flabby left atrium4. Atrial septal defect (ASD)5. After surgery6. Junctional rhythm.